Zuska's disease common in smoker causes:
1. Acute mastitis
2. Chronic areolar abscess
3. Fibroadenosis
4. Acute abscess formation

Correct answer: 2. Chronic areolar abscess

Explanation: Zuska's Disease (Recurrent Periductal Mastitis) Condition of recurrent retroareolar infections and abscess. Smoking has been implicated as a risk factor. Managed symptomatically by antibiotics with incision and drainage procedure.